Long term fluctuation is seen with
1. secular trends
2. epidemics
3. cyclic trends
4. seasonal trends

Correct answer: 1. secular trends